All of the following are Bipolar disorders except
1. Mania + Depression
2. Hypomania + Depression
3. Mania alone
4. Depression alone

Correct answer: 4. Depression alone

Explanation: Even a single episode of Mania alone is considered as bipolar disorder.
Hence option 4 is false.